Fascial layer separating the rectum from the coccyx is?
1. Denonvilliers' fascia
2. Scarpa's fascia
3. Buck's fascia
4. Waldeyer's fascia

Correct answer: 4. Waldeyer's fascia

Explanation: Lower third of the rectum is separated anteriorly from the prostate/vagina by- Denonvilliers' fascia Posteriorly from the coccyx and lower two sacral vertebrae by- Waldeyer's fascia These fascial layers act as barriers to malignant invasion